Histidine to histamine is ?
1. Carboxylation
2. Decarboxylation
3. Oxidation
4. Reduction

Correct answer: 2. Decarboxylation

Explanation: Ans. is 'b' i.e., DecarboxylationHistamine is synthesized from histidine by decarboxylation catalyzed by histidine decarboxylase.Reaction requires pyridoxal phosphate (PLP) as coenzyme.